SIADH secretion is seen in all except -
1. Meningitis
2. Interstitial Nephritis
3. Hypothyrodism
4. lung cancer

Correct answer: 2. Interstitial Nephritis

Explanation: Ref - geekymedics.com